A patient with sore throat has a positive Paul Bunnell test. The causative organism is-
1. EBV
2. Herpesvirus
3. Adenovirus
4. CMV

Correct answer: 1. EBV